Chyluria is caused by all except:
1. Pregnancy
2. Childbirth
3. Filariasis
4. Bile duct stones

Correct answer: 4. Bile duct stones

Explanation: Ans. D: Bile duct stones Chyluria/chylous urine is a condition involving the presence of chyle in the urine stream, which results in urine appearing milky white. Chyluria is often caused by filariasis due to the parasite Wuchereria bancrofti, a thready nematode which lodges the lymph channels. Another cause is pregnancy or childbirth. It may also be seen in ascariasis, malaria, tumour and tuberculosis. Once the lymph channels are blocked, one may open into the kidney hilum or ureter or sometimes into the bladder and chyle can leak into the urinary tract resulting in milky white urine.It may also result in renal colic and hypoproteinemia. Blood sometimes mixes with the urine resulting in haemato-chyluria. Usually the condition is self limiting. If left untreated, chronic chyluria can lead to malnutrition and vitamin deficiency.